Crumpled tissue paper appearance of cytoplasm in bone marrow examination is seen due to accumulation of which of the following inside the cell?
1. Cerebroside
2. Ganglioside accumulation
3. Sphingomyelin
4. Glucocerebroside

Correct answer: 4. Glucocerebroside

Explanation: Crumpled tissue paper appearance of cytoplasm in Gaucher cells. It is seen in Gaucher disease. It is due to accumulation of Glucocerebroside inside cell.